Which of the following statement is true about Linkage analysis?
1. Detection of characteristic DNA polymorphism in a family associated with disorders
2. Useful to make pedigree chart to show affected and non-affected family members
3. Used to make a pedigree chart to show non-paternity
4. Non gene mapping method of genetic study

Correct answer: 1. Detection of characteristic DNA polymorphism in a family associated with disorders

Explanation: Ans. A. Detection of characteristic DNA polymorphism in a family associated with disorders(Ref Robbins 9/e page 177-179)Linkage analysisThe genetic marker loci very close to the disease allele, that are transmitted through pedigrees called linkage disequilibrium.Assess the genetic marker loci in family members having the disease or trait of interestWith time it becomes possible to define a panel of marker loci, all of which co-segregate with the putative diseasesHence Linkage analysis facilitates localization and cloning of the disease allele.The genetic markers used are, SNPs and repeat-length polymorphisms (minisatellite and microsatellite).